A child presents with recurrent fracture, hearing problems and joint laxity. What is the most probable diagnosis?
1. Brittle bone disease
2. Marble bone disease
3. Osteopetrosis
4. Achondroplasia

Correct answer: 1. Brittle bone disease

Explanation: All these features are seen in Osteogenesis Imperfecta. It is also known as Brittle bone disease.